A girl has primary amenorrhea with normal ovaries, absent internal genitalia but normal external genitalia. Most probable diagnosis?
1. Mayer-Rokitansky-Kuster-Hausers- syndrome
2. Turner's syndrome
3. Noonan's
4. Androgen insensitivity syndrome

Correct answer: 1. Mayer-Rokitansky-Kuster-Hausers- syndrome

Explanation: Mayer Rokitansky Kuster Hauser's syndrome : karyotype is 46,XX Normal secondary sexual charecteristics Functional ovaries Normal hormonal profile Associated with skeletal and renal anomalies Management involves creation of a functional vagina for coital purposes and can become biological mother by surrogacy. SHAW'S TEXTBOOK OF GYNAECOLOGY,Pg no:286,15th edition